An agent added to local anaesthetics to speed the onset of action is :
1. Methylparaben
2. Bicarbonate
3. Fentanyl
4. Adrenaline

Correct answer: 2. Bicarbonate